Risk of HIV transmission after needle stick injury is ?
1. 0.30%
2. 0.5-1%
3. 2-3%
4. 10-20%

Correct answer: 1. 0.30%

Explanation: The average risk for HIV infection after a needlestick or cut exposure to HlV-infected blood is 0.3%.The risk after exposure of the eye, nose, or mouth to HIV-infected blood is estimated to be, on average, 0.1%.The risk after exposure of the skin to HlV-infected blood is estimated to be less than 0.1%. A small amount of blood on intact skin probably poses no risk at all.The risk may be higher if the skin is damaged (for example, by a recent cut), if the contact involves a large area of skin, or if the contact is prolonged.